Anti-inflammatory action of airways -a) Fluticasoneb) Ipratropium bromidec) Budesonide d) Terbutaline
1. ac
2. bc
3. ad
4. b

Correct answer: 1. ac